All of the follwing statements regarding valsalva manoeuvre is true, EXCEPT:
1. It decreases left ventricular volume
2. Systolic murmur of mitral stenosis becomes softer
3. Ejection systolic murmur of aortic stenosis becomes softer
4. Systolic murmur of hypertrophic cardiomyopathy becomes softer

Correct answer: 4. Systolic murmur of hypertrophic cardiomyopathy becomes softer

Explanation: Valsalva maneuvre is performed by forcefully attempt to exchale against a closed glotis after taking a normal breath. When it is performed intrathoracic pressure increases, increaing both end diastolic and end systolic ventricular pressure. There is decreased ventricular filling and cardiac output. This causes sound diminishing in intensity in most of the cardiac murmurs. The only two murmurs that will increase in intensity with valsalva maneuver is Murmur of hypertrophic cardiomyopathy Murmur of mitral valve prolapse Ref: Primary Cardiology, edited by Eugene Braunwald, 2nd Edition, Page 156.